Secondary ossification centre appears before birth at
1. Upper end of femur
2. Lower end of femur
3. Lower end of tibia
4. Lower end of fibula

Correct answer: 2. Lower end of femur

Explanation: Long Bone Diaphysis (shaft) - derived from primary ossification center. * present at 6 - 8 weeks of IUL. Epiphysis (ends) - derived from secondary ossification center. * appear after birth Except - Lower end of femur & sometimes upper end of tibia. | Their secondary ossification center appears before birth.